A chest physician performs bronchoscopy in the procedure room of the outpatient department. To make the instrument safe for use in the next patient waiting outside, the most appropriate method of disinfection is by:
1. 70% alcohol for 5 min
2. 2% glutaraldehyde for 20 min
3. 2% formaldehyde for 10 min
4. 1% sodium hypochlorite for 15 min

Correct answer: 2. 2% glutaraldehyde for 20 min

Explanation: Techniques for Sterilization Steam Surgical instruments Ethylene Oxide Heart lung machine, respirators , dental labs Hot air oven Glass syringe, test tubes, flasks, cutting instruments Irradiation (gamma rays) Industrial packing Paraacetic acid (STERIS) Flexible endoscopes Isopropyl alcohol Clinical thermometer Beta propiolactone > Formaldehyde Fumigation of OT, labs, wards 2% Glutaraldehyde Endoscope (Cystoscope, Bronchoscope) Autoclaving Culture media, suture materials except catgut Ref: Bailey 24th edition Pgno: 135